All of the following methods are used for detecting heavy metals, EXCEPT:
1. Harrison & Gilroy test
2. . Paraffin test
3. Neutron activation analysis
4. Atomic adsorption spectroscopy

Correct answer: 2. . Paraffin test

Explanation: All the others except Paraffin test are used to detect heavy metals. These heavy metals are detected from the entrance wound where they are components of the residue discharged from the cartridge of a firearm weapon. Harrison & Gilroy Test- Sb, Ba, Pb, in firearm discharges. N.A.A. - radioisotopes, A.A.S.- Sb, Ba, Cu. Paraffin test=Dermal Nitrate test=Diphenylamine test- detects Nitrates/Nitrites from a cast of paraffin on the hands, not heavy metals.